All are non-proliferative glomerulonephritis, except:
1. Membranous glomerulonephritis
2. Mesangiocapillary glomerulonephritis
3. Diabetic glomerulosclerosis
4. Amyloidosis

Correct answer: 2. Mesangiocapillary glomerulonephritis

Explanation: Conditions with Proliferative Glomerulonephritis : SLE (particularly class II) HIV Membranoproliferative/Mesangiocapillary glomerulonepritis Neoplasia (CLL and MALT lymphoma) Post streptococcal glomerulonephritis Rest all options are the conditions with non proliferative glomerulonephritis.